True about calcium and phospharus metabolism?
1. Parathormone increases phosphate reabsorption in PCT
2. Parathormone increases calcium reabsorption in PCT
3. Calcitriol increases phosphate reabsorption in PCT
4. Calcitriol decreases phosphate absorption in intestine

Correct answer: 3. Calcitriol increases phosphate reabsorption in PCT

Explanation: Ans. is'c'i.e., Calcitriol increases phosphate reabsorption in PCTCalcitriol stimulates reabsorption of-Phosphate in PCTCa+ in DCTPTH has following effects on reabsorption in kidney-It increases Ca2+ reabsorption in DCT (not in PCT)It decreases Phosphate reabsorption in PCT